Café–au–lait spots are not seen in:
1. Neuroﬁbromatosis
2. McCune Albright syndrome
3. Bloom syndrome
4. Hyperparathyroidism

Correct answer: 4. Hyperparathyroidism

Explanation: Café – au – lait spots are seen in the following conditions:

Neuroﬁbromatosis
McCune Albright syndrome
Bloom syndrome